Shigella can be divided into subgroup on the basis of ability to ferment -
1. Lactose
2. Maltose
3. Fructose
4. Mannitol

Correct answer: 4. Mannitol